All are done for a case of deep vein thrombosis except
1. Thrombolytic therapy
2. Bandage
3. Heparin
4. Bed rest

Correct answer: 4. Bed rest

Explanation: Prolonged immobilization is a risk factor for DVT so it is not advisable. Low molecular weight heparin, warfarin is used in management, green ivc filter, thrombolysis, bandage may also be used. Reference Bailey and love, 27th edition, page 990